Lambda phage which of the following is true -
1. It causes mad cow disease
2. Lysogenic to lytic conversion cannot occur
3. Lysogenic form incorporates in host DNA & remain dormant
4. Lyptic phase incorporates in host DNA, proliferate & causes rupture of cell

Correct answer: 3. Lysogenic form incorporates in host DNA & remain dormant

Explanation: The phage DNA become integrated with bacterial chromosome as the prophage which multiplies synchronously with the host DNA and transferred to daughter cells. This called lysogenic conversion REF:ANANTHANARYANAN TEXTBOOK OF MICROBIOLOGY 9EDITION PGNO.60